Translocation seen in mantle cell lymphoma is?
1. t(8;14)
2. t(11;14)
3. t(11;18)
4. t(9;22)

Correct answer: 2. t(11;14)

Explanation: Harshmohan textbook of pathology 7th edition In mantle cell lymphoma chromosomachromosomal translocation t (11:14) and over expression of immunoglobulin IgM and IgD protein..